REGARDING MYXOEDEMA THE FOLLOWING ARE TRUE EXCEPT:
1. swollen oedematous look of the face
2. impotency,amenorrhoea
3. Increased BMR
4. Dullness, loss of memory

Correct answer: 3. Increased BMR

Explanation: myxoedema caused due to the deficiency of thyroid hormones reduces the BMR Ref: guyton and hall textbook of medical physiology 12 edition page number:564,565,566